Patient can safely undergo major lung resection without increased risk of post operative complications if:
1. FEV1 > 1L, Normal DLCO
2. FEV1 > 1L, Decreased DLCO
3. FEV1 > 2L, Normal DLCO
4. FEV1>2L, Decreased DLCO

Correct answer: 3. FEV1 > 2L, Normal DLCO

Explanation: Pulmonary Function Test: Pulmonary function studies are routinely performed when any resection greater than a wedge resection will be performed. Of all the measurement available, the two most valuables are FEV1 and DLCO. For every 10% decline in patients DLCO, the risk of any pulmonary complication (as estimated by Odd ratio) increased by 42%. patients with FEV1>2.0L can tolerate pneumonectomy, and those with an FEV1 of >1.5 L can tolerate lobectomy. Ref: Bailey 27th edition Pgno: 916-917